Maximum benefit of Electro Convulsive Therapy is in
1. Hysteria
2. Mania
3. Depression with Suicidal Tendency
4. Chronic Schizophrenia

Correct answer: 3. Depression with Suicidal Tendency

Explanation: Ans.C i.e. Depression with suicidal tendencyElectroconvulsive therapyProduces grand mal seizure in an anesthetized patient.Mechanism of action:- The ability of the brain to form and reorganize synaptic connections, especially in response to learning or experience or following injury.- Increases levels of Brain-Derived Growth Factor and Vascular Endothelial Growth FactorIndications:- Treatment-resistant depression- Severe depression with suicidal risk(most common indication)-Depression with psychotic featuresEmergency:- Refusal to eat or drink- The imminent risk for suicide- Neuroleptic malignant syndrome- Catatonia and catatonic schizophrenia- Severe agitated depression